The most common cause of superficial thrombophlebitis is -
1. Intravenous catheters/infusion
2. DVT
3. Varicose veins
4. Trauma

Correct answer: 1. Intravenous catheters/infusion

Explanation: "The most common cause of superficial thrombophlebitis is iatrogenic, especially with intravenous cannulations and infusions."